Insulin is secreted along with the following molecule in a 1: 1 ratio:
1. Pancreatic polypeptide
2. Glucagon
3. GLP-1
4. C- peptide

Correct answer: 4. C- peptide

Explanation: D i.e. C - PeptideInsulin has two interchain (A7 - B7, & A20 - B19) and one intrachain (A6 - All) disulfide bridges with in AB hetrodimeric structureQ.Insulin is synthesized as pre-pro-hormone (MW 11, 500), which makes it difficult to synthesize insulin in laboratory even after synthesizing A, B chains. This pre prohormone is directed by hydrophobic 23 aminoacid pre or leader sequence into cisternae of endoplasmic retinaculum, which is then removed to form 9000 MW proinsulin.Starting from amino terminal, the chain sequenc of proinsulin is.